The crown of any tooth can be subdivided for description, into
1. Halves
2. Thirds
3. Quarters
4. Eights

Correct answer: 2. Thirds